Complication of long-term hemophilia   a) Joint deformity  b) Transfusion transmitted disease  c) Renal calculi  d) Severe iron deficiency anemia
1. ab
2. bc
3. bd
4. ad

Correct answer: 1. ab